The behavioural Science used extensively in PSM is –
1. Anthropology
2. Economics
3. Politics
4. Law

Correct answer: 1. Anthropology

Explanation: Social sciences: Concerns those disciplines which are committed to the scientific examination of human behavior. These include

Economics
Political science
Sociology
Social psychology
Social anthropology

Behavioral sciences: Deal directly with human behavior.
These include points 3, 4 and 5 → 4 Sociology, Social psychology, Social anthropology.